The most common neurologic abnormality that occurs with head injury is-
1. Hemiplegia
2. Ocular nerve palsy
3. Altered consciousness
4. Convulsion

Correct answer: 3. Altered consciousness